What is the new name for mental retardation in ICD-11?
1. Intellectual disability
2. Disorders of intellectual development
3. Mental instability
4. Intellectual deterioration

Correct answer: 2. Disorders of intellectual development

Explanation: Mental retardation name DSM V: Intellectual disability ICD 11: Disorder of intellectual development